True statement about gall stones are All/EXCEPT:
1. Lithogenic bile is required for stone formation
2. May be associated with carcinoma gall bladder
3. Associated with diabetes mellitus
4. More common in males between 30 - 40 years of age

Correct answer: 4. More common in males between 30 - 40 years of age

Explanation: Ans. is 'd' ie. More common in males between 30-40 yrs. of age Ref. Bailey & love, 25/e pll20 (24/e p. 1103, 23/e, p 974)Though Cholelithiasis can occur in both sexes from childhood to the centenarian (people in their 100), it is more common in females. A fat, fertile, flatulent, female of fifty' is the clinical sufferer from symptomatic gallstones.Lithogenic bile : is required for the formation of mixed stone and cholesterol stones.Bile contain cholesterol, insoluble in water and held in solution by detergent action of bile salts & phospholipids. When there is excess of cholesterol relative to bile salts & phospholipids, cholesterol gets precipitated to form gall stones. Such a bile is termed supersaturated or lithogenic." Diabetes mellitus can cause increased incidence of cholesterol gallstones, probably related to increased cholestrol level in bile." - Chandrasoma Taylor, 3/e, p 666.Gall stones are associated with Ca gall bladder. In over 90% cases gall stones are found associated with Ca G.B.